The third head of coracobrachialis is called as
1. Struther ligament
2. Radical collateral ligament
3. Ulnar collateral ligament
4. Arc of renade

Correct answer: 1. Struther ligament

Explanation: Morphological importance of coracobrachialis - It represents the medial compartment of the arm which is so well developed in the thigh. In some animals, the muscle is tricipital muscle. In man, the upper two heads have fused, but the musculocutaneous nerve passes between the remnants of these two heads. The third and lowest head of the muscle has disappeared in man. Occasional persistence of the lower head is associated with the presence of the so called 'ligament of Struthers' which is a fibrous band extending from the trochlear spine to the medial epicondyle of the humerus. The third head of the coracobrachialis is inserted into this ligament. B D Chaurasia's Human Anatomy , seventh edition volume 1 , pg. no., 91.